The ureteric bud develops from-
1. Pronephros
2. Mesonephros
3. Metanephros
4. Cloaca

Correct answer: 2. Mesonephros

Explanation: Ans. is 'b' i.e., Mesonephros Development of kidney* Ureteric bud (mesonephros) arise from mesonephric duct and gives rise to collecting system of kidney (renal pelvis, major and minor calyces, collecting tubule) and ureter.* Metanephric mesoderm (blastema or metanephros) arisefrom nephrogenic cord which in turn is derived from intermediate mesoderm. It gives rise to excretory unit (nephron), i.e. glomeruli, PCT, Loop of henle and DCT.